Abdominal aortic aneurysm is operated when the size is more than:
1. 35 mm
2. 45 mm
3. 55 mm
4. 65 mm

Correct answer: 3. 55 mm

Explanation: Cut off diameter ( an Indication of surgery)- 1. Descending thoracic aorta aneurysm >6.5 cm 2. Abdominal aortic aneurysm & Ascending aortic aneurysm > 5.5 cm 3. Iliac artery aneurysm > 3.5 cm 4. Popliteal & femoral Artery Aneurysm > 2 cm